Best contraceptive for newly married couples
1. Barrier method
2. IUCD
3. Oral contraceptive pill
4. Natural methods

Correct answer: 3. Oral contraceptive pill

Explanation: HORMONAL CONTRACEPTIVES Hormonal contraceptives when properly used are the most effective spacing methods of contraception. Oral contraceptives of the combined type are almost 100 per cent effective in preventing pregnancy. They provide the best means of ensuring spacing between one childbirth and another. More than 65 million in the world are estimated to be taking the "pill" of which about 9.52 million are estimated to be in India. Beneficial effects The single most significant benefit of the pill is its almost 100 per cent effectiveness in preventing pregnancy and thereby removing anxiety about the risk of unplanned pregnancy. Apart from this, the pill has a number of non- contraceptive health benefits. Both the Royal College of General Practitioners' and the Oxford Family Planning Association's long-term prospective studies of pill use in Britain have shown that using the pill may give protection against at least 6 diseases: benign breast disorders including fibrocystic disease and fibroadenoma, ovarian cysts, iron- deficiency anaemia, pelvic inflammatory disease, ectopic pregnancy and ovarian cancer. Ref : Park 25th edition Pgno : 536-537